Deficiency of C1 (complement 1) inhibitor results in -
1. SLE
2. Hereditary angioneurotic edema
3. Severe recurrent pyogenic infection
4. Gram-negative bacteremia

Correct answer: 2. Hereditary angioneurotic edema

Explanation: The deficiency of C1 inhibitor is associated with hereditary angioneurotic edema. It is a condition characterized by episodic angioedema of the subcutaneous tissues or of the mucosa of the respiratory or alimentary tracts. Fatal if larynx or trachea affected. The attack is precipitated by local exhaustion of the reduced amount of the C1 inhibitor present, lea ding to the autocatalytic activation of C1 and unrestrained breakdown of C4 and C2. RefeReference:thanarayan & paniker's 9th edition, pg no: 126